Pacinian corpuscles transmit which sensation
1. Cold
2. Heat
3. Fine Touch
4. Vibration

Correct answer: 4. Vibration

Explanation: Pacinian corpuscles are associated with pressures and vibration sensation They are deeply situated and are fast adapting Ref:Guyton and Hall textbook of medical physiology 12th edition,page number:685,686,687